Which of the following drug is not given in the blister pack in NLEP
1. Dapsone
2. Rifampcin
3. Clofazamine
4. Minocycline

Correct answer: 4. Minocycline

Explanation: Minocycline This is the most lipid-soluble of the tetracyclines and inhibits bacterial protein synthesis. In clinical trials, the clearance of viable M.leprae from the skin by minocycline was faster than that reported from dapsone or clofazimine and similar to that for ofloxacin. Minocycline may strengthen MDT, for multibacillary patients and thereby shorten the duration of treatment needed to treat leprosy effectively The standard dose is 100 mg daily. The side-effects include discoloration of teeth in infants and children, occasional pigmentation of the skin and mucous membrane, various gastrointestinal symptoms and central nervous system complaints. It should not be given to infants, children and during pregnancy Ref: Park 25th edition Pgno : 340